Phthisis bulbi means -
1. Developmental hypoplasia of optic cup
2. Final end stage of chronic scleritis
3. Final end stage of chronic uveitis
4. All of the above

Correct answer: 3. Final end stage of chronic uveitis

Explanation: Phthisis bulbi: It is the final stage end result ofany form of chronic uveitis. In this condition, ciliary body is disorganised and so aqueous production is hampered. As a result of it the eye becomes soft, shrinks and eventually becomes a small atrophic globe (phthisis bulbi).